Out of the following which is not a radiotherapy equipment?
1. Betatron
2. Telecurie-cobalt unit
3. Linear accelerator
4. Thimble chamber

Correct answer: 4. Thimble chamber

Explanation: Ans. Thimble chamber